Cholesteatoma is seen in:
1. ASOM
2. CSOM
3. Secretory Otitis media
4. Otosclerosis

Correct answer: 2. CSOM

Explanation: (b) CSOM(Ref. Cummings, 6th ed., 2141)Cholesteatoma formation is characteristic of unsafe CSOM.The other mentioned options are not associated with cholesteatoma.